Amster grid is used in:
1. Detecting maculopathy
2. Optic disc examination
3. Squint
4. Retinal examination

Correct answer: 1. Detecting maculopathy

Explanation: A i.e. Detecting maculopathy